Patient complaints of muscle weakness. It was rivers on administration of neostigmine because
1. It blocks action of acetylcholine
2. It interferes with the action of monoamine oxidase
3. It interferes with the action of carbonic anhydrase
4. Interferes with the action of Acetyl chlolinesterase

Correct answer: 4. Interferes with the action of Acetyl chlolinesterase

Explanation: (Ref: Katzung 11/e p105) Neostigmine acts by inhibiting the enzyme acetylcholinesterase. This enzyme is involved in degradation of ACh,consequently neostigmine inereases the synaptic level of ACh. Muscle weakness can be improved by stimulation of NM receptors at muscle end plate due to increased ACh.